Chorionic villous sampling is done in all except
1. Phenylketonuria
2. Down's syndrome
3. Neural tube defect
4. Thalassemia/sickle cell anemia

Correct answer: 3. Neural tube defect

Explanation: Chorionic villi are extremely good source of fetal DNA and thus ideal for PCR and DNA analysis to diagnose single gene defects like hemoglobinopathies,cysticfibrosis,duchenne muscular dystrophy.Represents confined placental mosaicism.It can be used to diagnose storage diseases like Tay Sachs and Gaucher's disease. TEXTBOOK OF OBSTETRICS,SHEILA BALAKRISHNAN,Pg no:503,2nd edition